Which of the following is not the contribution of E.H. Angle?
1. Pin & Tube Appliance
2. E-Arch Appliance
3. Edgewise Appliance
4. Straight Wire Appliance

Correct answer: 4. Straight Wire Appliance